True about Secondary hemorrhage is?
1. It usually occurs after 7-14 days after surgery
2. It is usually caused by raised blood pressure
3. It can occur due to slipping of ligature.
4. It is due to venous refilling of blood.

Correct answer: 1. It usually occurs after 7-14 days after surgery